Which is not the classical feature of primary myelofibrosis
1. Tear Drop RBCs
2. Leucocrythroblast
3. Abnormal megalcaryocytes
4. Biconcavve RBCs

Correct answer: 4. Biconcavve RBCs

Explanation: Solution:
When RBCs are Passing through splenic Circulation and fibrotic area biconcave RBCs becomes Tear Drop RBCs.